Aliskiren is
1. Aldosteron antagonists
2. Renin/Angiotensin antagonist
3. Bradykinin analogue
4. Prostacyclin analogue

Correct answer: 2. Renin/Angiotensin antagonist

Explanation: (Renin/ Angiotensin antagonist): (508.562- KDT 7th edition)ALISKIREN is a nonpeptide which binds selectively to the catalytic site of renin and competitively blocks the access of angiotensinogen to this site - Ang I is not produced and the chain of renin angiotension system is interrupted while the concentration of renin in plasma is increased by feed back, the plasma renin activity is decreased. Ang I and Ang II level fall.* Bradvkinin Antagonist * HOE 140 (Icatibant) selective b2 antagonist* FR173657* Aldosterone antagonist* Spironolactone, Eplerenone* Canrenone, Potassium canrenoate***